Which of the following is considered an adequate water supply/head/day-
1. 50-150L
2. 150-200L
3. 200-250L
4. 100-150L

Correct answer: 2. 150-200L

Explanation: park's textbook of preventive and social medicine 23rd edition *a daily supply of 150-200litres per capita is considered as an adequate supply to meet the needs for all urban domestic purposes .